The following test is not used for diagnosis of leprosy :
1. Lepromin test
2. Slit skin smear
3. Fine needle aspiration cytology
4. Skin biopsy

Correct answer: 1. Lepromin test

Explanation: A i.e. Lepromin test